Pseudodementia is commonly seen in
1. Depression
2. Hysteria
3. Phobia
4. Hypochondriasis

Correct answer: 1. Depression

Explanation: Pseudodementia is forgetfulness that is one of the symptoms of depression and pt has insight in pseudodementia. Pseudodementia (otherwise known as "depression-related cognitive dysfunction") is a condition where mental cognition can be temporarily decreased. Ref ganong's review of medical physiology 25e